Apical group of lymph nodes belong to which level in the axillary group of nodes
1. Level I
2. Level II
3. Level III
4. Supraclavicular

Correct answer: 3. Level III

Explanation: Apical group nodes are the infraclavicular group. There are three surgical levels of axillary lymph nodes:level I: below the lower edge of the pectoralis minor musclelevel II: underneath/posterior the pectoralis minor musclelevel III: above/medial the pectoralis minor muscle.level III are infraclavicular